Boa's sign seen in
1. Acute cholangitis
2. Acute Cholecystitis
3. Mirizzi syndrome
4. Primary sclerosing cholangitis

Correct answer: 2. Acute Cholecystitis

Explanation: Boas' or Boas's sign is hyperaesthesia (increased or altered sensitivity) below the right scapula is a symptom of acute cholecystitis